A marker of Golgi apparatus is
1. Galactosyl transferase
2. Acetyl CoA synthetase
3. Pyruvate kinase
4. Malonyl CoA

Correct answer: 1. Galactosyl transferase

Explanation: Golgi apparatus is a collection of membrane-enclosed sacs. They are directed at proper glycosylation of proteins and lipids. (REF: GANONG'S REVIEW OF MEDICAL PHYSIOLOGY 24 EDITION, PAGE NO - 46)